A20 year old female has an erythematous rash over her face on both cheeks and across the bridge of her nose.This rash is made worse by sunlight exposure when she is outdoors. Along with the rash, she has had muscle and joint pain for several month. However, radiographs of the joints does not show any abnormalities, and she has normal joint mobility without deformity. Which of the following laboratory test findings is most characteristic of the disease-
1. Elevated anti-streptolysin O (ASO) titer
2. HLA-B27 genotype
3. Markedly decreased serum level ofimmuno-globulin G (IgG)
4. Antibodies to double-standed DNA

Correct answer: 4. Antibodies to double-standed DNA

Explanation: Harshmohan textbook of pathology 7th edition. the most probable diagnosis is SLE. two form of SLE described 1. Discord 2.systemic Discoid form is characterised by chronic and localised skin lesion involving the bridge of nose and adjacent cheek without any systemic manifestation. Antibodies to double stranded DNA is the most specific for SLE especially in high titre..